Dimercaprol is/are used in poisoning with:
1. Pb
2. Hg
3. As
4. All

Correct answer: 4. All

Explanation: A i.e. Pb; B i.e. Hg; C i.e. As